Paranoid schizophrenia is mimicked by intake of:
1. Amphetamine
2. Heroin
3. Cannabis
4. Alcohol

Correct answer: 1. Amphetamine

Explanation: Ans. Amphetamine